Sympathetic ophthalmitis results due to -
1. Penetrating injury of ciliary body
2. Uveitis
3. Glaucoma
4. Trachoma

Correct answer: 1. Penetrating injury of ciliary body

Explanation: Predisposing factors 1. It almost always follows a penetrating injury. 2. Wounds in the ciliary region (the so-called dangerous zone) are more prone to it. 3. Wounds with incarceration of the iris, ciliary body or lens capsule are more vulnerable. 4. It is more common in children than in adults. 5. It does not occur when actual suppuration develops in the injured eye Ref khurana 6/e p437